Gold standard test for diagnosis of acoustic neuroma:
1. CT with contrast
2. MRI with contrast
3. CT without contrast
4. Angiography

Correct answer: 2. MRI with contrast

Explanation: Ans. MRI with contrast